True statement regarding first order kinetics is:
1. Rate of elimination is independent of plasma concentration
2. A constant proportion of plasma concentration is eliminated per unit time
3. Half life increases with dose
4. Clearance decreases with dose

Correct answer: 2. A constant proportion of plasma concentration is eliminated per unit time

Explanation: Ans. (B) A constant proportion of plasma concentration is eliminated per unit time(Ref: RID 8th/e p38-39)In first order kinetics, rate of elimination is proportional to plasma concentration of the drug. Half life and clearance are constant in first order kinetics.